Pringle maneuver may be required for treatment of
1. Injury to tail of pancreas
2. Mesentric ischaemia
3. Bleeding esophageal varices
4. Liver laceration

Correct answer: 4. Liver laceration

Explanation: Explanation in previous question Ref: Sabiston 20th edition Pgno : 439 Blumgart 5th edition pgno : 1547